Hemolytic Uremic Syndrome is characterizeda) Microangiopathic haemolytic anaemiab) ↓ed LDHc) Thrombocytopaeniad) Renal failuree) Positive Coomb's test
1. abc
2. ad
3. bc
4. acd

Correct answer: 4. acd